'Le facies sympathique' is a condition seen in cases of:
1. Hanging
2. Strangulation
3. Throttling
4. Railway accidents

Correct answer: 1. Hanging

Explanation: Le facies Sympathique is Seen in hangingQ***. One of the surest sign of ante mortem hangingQ. Compression of sympathetic chain by the knot of rope. Results in ipsilateral dilatation of the pupil and partial opening of the eyelids.